Maximum malignant potential is in –
1. Superficial naevus
2. Epidermal naevus
3. Junctional naevus
4. Intradermis naevus

Correct answer: 3. Junctional naevus

Explanation: Amongst the given options only junctional naevus has malignant potential.
Following melanocytic naevi can transform in to malignant malenoma

Malignant potential is maximum → congenital melanocytic naevus, and dysplastic (atypical) naevus.
Malignant potential is less (but present) → Junctional and compound nevus.